The most important cause of the coagulation failure in obstetrics is :
1. Intrauterine fetal death
2. Accidental hemorrhage
3. Placenta previa
4. Rupture of the uterus

Correct answer: 2. Accidental hemorrhage

Explanation: Accidental hemorrhage